Household bleach such as chlorox contains:
1. 2.25% NaOCl
2. 3.25% NaOCl
3. 4.25% NaOCl
4. 5.25% NaOCl

Correct answer: 4. 5.25% NaOCl

Explanation: Sodium Hypochlorite
It is one of the most widely used irrigating solutions. Household bleach such as chlorox contains 5.25% NaOCl. Some people suggest that it should be used at this concentration, whereas others suggest that it should be diluted with water, and still others advice alternating it with other agents, such as EDTA with cetrimide (EDTAC, Roydent Products; Rochester Hills, MI) or chlorhexidine.